Which of the following is not a part of the growth relativity hypothesis?
1. Displacement of condyle
2. Nonmuscular viscoelastic tissue stretch
3. Force transduction beneath the fibrocartilage
4. Functional loading

Correct answer: 4. Functional loading

Explanation: Growth relativity refers to growth that is relative to its displaced condyles from actively relocating fossae. John C Voudouris introduced this concept to explain the possible eﬀect of functional appliances on condyle and the resulting growth. The main foundations of growth relativity hypothesis  are:

Displacement of condyle.
Nonmuscular viscoelastic tissue stretch.
Force transduction beneath the ﬁbrocartilage of the glenoid fossa and condyle add new bone formation.

Textbook of craniofacial growth, Sridhar Premkumar